Which of the following is not used in delirium
1. Haloperidol
2. Lithium
3. Diazepam
4. Olanzapine

Correct answer: 2. Lithium

Explanation: The two major symptoms of delirium that may require pharmacological treatment are psychosis and insomnia. A commonly used drug for psychosis is haloperidol. Use of second-generation antipsychotics, such as risperidone, clozapine, olanzapine, quetiapine, ziprasidone, and aripiprazole, may be considered for delirium management. Insomnia is best treated with benzodiazepines with short or intermediate half-lives. Current trials are ongoing to see if dexmedetomidine is a more effective medication than haloperidol in the treatment of agitation and delirium in patients receiving mechanical ventilation in an intensive care unit. Reference: Kaplan & Sadock's Synopsis of Psychiatry: Behavioral Sciences/Clinical Psychiatry, 11th Edition, page 703.